Most common site of symptomatic intracranial aneurysm repture is?
1. SAH
2. SDH
3. EDH
4. Putamen

Correct answer: 1. SAH

Explanation: Harrison's principles of internal medicine 17th edition. * Excluding head trauma the most common cause of SAH is rupture of intracranial aneurysms Subarachnoid hemorrhage (SAH) is a life-threatening type of stroke caused by bleeding into the space surrounding the brain. SAH can be caused by a ruptured aneurysm, AVM, or head injury